All of the following drugs are used as immuno-suppressants except.
1. Glucocorticoids
2. Cyclosporine
3. Cephalosporin
4. Azathioprine

Correct answer: 3. Cephalosporin

Explanation: Ans. (C) Cephalosporin(Ref: Principles of Pharmacology, 1/e p912; KDT 8/e p937)Cephalosporins are b-lactam antibiotics whereas other drugs are immunosuppressants.